The following drain in IVC except:
1. Right testicular vein
2. Left testicular vein
3. Right renal vein
4. Left renal vein

Correct answer: 2. Left testicular vein

Explanation: Ans. B. Left testicular vein. (Ref. BDC 4th Ed. Vol-2; Pg. 218)BDC 4th Ed. Vol-2; Pg. 218.............."The veins emerging from the testis form Pampiniform plexus. The anterior part of the plexus is arranged around the testicular artery, the middle part around the ductus deferens and its artery, and the posterior part is isolated. The plexus condenses into 4 veins at superficial inguinal ring, into two veins at deep inguinal ring. The veins accompany testicular artery. Ultimately one vein is formed which drains into the IVC on the right side, and left renal vein on the left."Testicular venous drainage:# Right side--IVC directly,# On left side--left renal vein at right angle, guarded by a valve.IVC# Because the IVC is on the right half of the body, the left renal vein is generally the longer of the two.# Because the IVC is not laterally symmetrical, the left renal vein often receives the following veins:- Left inferior phrenic vein- Left suprarenal vein- Left gonadal vein (left testicular vein in males, left ovarian vein in females)- Left 2nd lumbar vein# This is in contrast to the right side of the body, where these veins drain directly into the IVC.Educational points:# Internal thoracic, lateral thoracic, azygos veins (tributaries of SVC) form collaterals with tributaries of IVC.- Internal thoracic veinainferior epigastric veinaextemal iliac veinaIVC.- Lateral thoracicasuperior epigastric veinagreat saphenous veinafemoral veinaIVC.- Azygos veins (main and hemiazygous veins) form direct connection between SVC and IVC.